Least useful treatment of local anaesthetic induced convulsions –
1. Phenytoin
2. Thiopentone
3. Midazolam
4. Propofol

Correct answer: 1. Phenytoin

Explanation: Drugs used for LA induced seizure :- Benzodiazepines (midazolam), Barbiturates (thiopentone), Propofol.